Stauffer syndrome is associated with the following malignancy:
1. Renal cell carcinoma
2. Neuroblastoma
3. Prostate cancer
4. Small cell carcinoma of lung

Correct answer: 1. Renal cell carcinoma

Explanation: The presenting signs and symptoms of renal cell carcinoma include hematuria, abdominal pain, and a flank or abdominal mass. A spectrum of paraneoplastic syndromes has been associated with this malignancy, including erythrocytosis, hypercalcemia, nonmetastatic hepatic dysfunction (Stauffer syndrome), and acquired dysfibrinogenemia. Anemia, a sign of advanced disease, is more common. Reference: Cooper C.S., Joudi F.N., Williams R.D. (2010). Chapter 38. Urology. In G.M. Dohey (Ed), CURRENT Diagnosis & Treatment: Surgery, 13e.